Concentration of methemoglobin to cause cyanosis-
1. 5 gm/dl
2. 2 gm/dl
3. 1.5 gm/dl
4. 12 gm/dl

Correct answer: 3. 1.5 gm/dl

Explanation: Ans. (c) 1.5gm/dl(Ref: Ganong, 25th ed/p.647)The level of methemoglobin producing cyanosis is 1.5gm/dlIf deoxyhemoglobin (reduced Hb) is 5.0g/dL or greater, cyanosis appears